Spoked wheel appearance is seen in
1. Oncocytoma
2. Wilm's tumor
3. Hydronephrosis
4. PCKD

Correct answer: 1. Oncocytoma

Explanation: Spoked wheel appearance - Oncocytoma.
B/L spider leg deformity - PCKD.